In epidemic, 1st step is-
1. Verification of diagnosis
2. Isolation
3. Immunization
4. Notification

Correct answer: 1. Verification of diagnosis

Explanation: Ans. is 'a' i.e., Verification of diagnosis